A patient with microcytic hypochromic anaemia shows reduced total serum iron, percentage saturation of serum transferrin, TIBC and increased levels of  serum ferritin. What is the diagnosis?
1. Iron deficiency anaemia
2. Anaemia of chronic disease
3. Sideroblastic anaemia
4. Pernicious anaemia

Correct answer: 2. Anaemia of chronic disease

Explanation: Microcytic Hypochromic Anemia Caused by:-

Sideroblastic anemia
Iron deficiency anemia
Thalassemia
Anemia of chronic disease

Macrocytic Anemia Caused by:

Alcoholic Liver disease
Hypothyroidism
Megaloblastic anemia (Folic acid and vitamin B12 deficiency) • Anemia by Cytotoxic drugs like methotrexate or other drugs phenytoin.

Different Microcytic Hypochromic anemia features:-